Maximum chances of ureteric injury are seen with
1. TAH
2. Anterior colporrhaphy
3. Wertheims hysterectomy
4. Vaginal hysterectomy

Correct answer: 3. Wertheims hysterectomy

Explanation: Wertheim's hysterectomy : Its a radical procedure, hence more chances of injuries while dissecting ureter in parametrial tissue